The time interval between diagnosis by early detection and diagnosis by other means is-
1. Incubation period
2. Lead time
3. Serial interval
4. Latent period

Correct answer: 2. Lead time

Explanation: Ans. is 'b' i.e., Lead time